Metyrapone inhibits -
1. 11-B-hydroxylase
2. 21-B-hydroxylase
3. Both
4. None

Correct answer: 1. 11-B-hydroxylase